Neuro fibrillary tangles is seen in
1. Parkinsonism
2. Alzheimer's disease
3. Multiple sclerosis
4. Perivenous encephalomyelitis

Correct answer: 2. Alzheimer's disease

Explanation: (Alzheimer's disease) (910-HM) (894-Basic pathology 8th)* Deposition of A b amyloid derived from amyloid precursor protein (APP) forming neuritic senile, plaques and neurofibrillary tangles - features of ALZHEIMER'S DISEASE* Lewy bodies - hall marks of Parkinsonism